Therapeutic levels of lithium (in mecill) in a patient of acute mania is:
1. 0.4–0.8
2. 0.8–1.2
3. 1.2–1.6
4. 1.6–2.0

Correct answer: 2. 0.8–1.2